Anticra% ing drug given in alcohol dependence:
1. Buprenorphine
2. Acamprosate
3. Disulfiram
4. Diazepam

Correct answer: 2. Acamprosate

Explanation: Ans. b. AcamprosateAnticraving drug given in alcohol dependence is Acamprosate.Treatment of Alcohol DependenceAversion therapy: ApomorphineQ, sub-threshold electric shockPsychotherapyGroup therapyDeterrent agents: (Alcohol sensitizing drugs)QDisulfiramQCitrated calcium carbimide (CCC)Metronidazole, NitrafezoleQMethyltetrazolethiolSulfonylureas (specially ChlorpropamideQ)Cephalosporins (cefoperazoneQ, moxalactamQ, cefamandoleQ)Anticraving agents: (FAN)FluoxetineQ AcamprosateQNaltrexoneQ